Features of histocytosis are all except -
1. Antigen processing cells
2. CD1a marker present
3. CD127 marker
4. Osteolytic lesions

Correct answer: 3. CD127 marker

Explanation: Answee is option 3,CD127 marker The tumor cells of malignant histiocytosis generally expressed the monocyte markers CD11b, CD11c, CD14, and CD45, especially after induction with phorbol ester. In contrast, the tumor cells of true histiocytic lymphoma exhibited a marker expression very similar to that of Reed-Sternberg cells in Hodgkin's disease. These cells expressed markers CD30, 2H9, and 1A2, but rarely expressed CD11b, CD11c, CD14, or CD45.